Mechanism of injury in lateral condylar fracture of proximal tibia is ?
1. Strain of valgus knee
2. Strain of varus knee
3. Strain of valgus knee with axial loading
4. Rotational injury

Correct answer: 3. Strain of valgus knee with axial loading

Explanation: A valgus force loads the lateral tibial plateau to failure from direct impact with the lateral femoral condyle. A combination of valgus and axial compression produces lateral side depression,split depression or less commonly lateral split or total lateral condyle fractures. ref : maheswari 9th ed